Coronary graft is most commonly taken from ?
1. Femoral vein
2. Saphenous vein
3. Axillary vein
4. Cubital vein

Correct answer: 2. Saphenous vein

Explanation: The long saphenous vein is the most common vein used as it is straightforward,provides good length & is easy to handle.The 10 year patency rate is reported to be 50-60%,with10-15% occluding in one year.Other grafts used include left internal mammary artery or internal thoracic artery,short saphenous vein,cephalic vein,radial artery,gastroepiploic artery,inferior epigastric artery Reference:Bailey & Love's short practise of surgery,25th edition,page no:856